Clinical finding seen in hypermagnesemia?
1. Bradycardia & hypertension
2. Bradycardia & hypotension
3. Tachycardia & hypertension
4. Tachycardia & hypotension

Correct answer: 2. Bradycardia & hypotension

Explanation: Ans. B. Bradycardia & hypotensionIn hypermagnesemia, vasodilatation & neuro muscular blockage occurs.There is paradoxical bradycardia & hypotension.Other clinical features are altered sensorium & respiratory depression